Right side of mediastinal shadow is NOT formed by:
1. Superior vena cava
2. Right innominate
3. Right atrium
4. Right ventricle

Correct answer: 4. Right ventricle

Explanation: Ans. D i.e. Right ventricleRadiology of heartRight border of heart is formed by:- SVC/ Right brachiocephalic vessels,- IVC and- Right atriumLeft border of heart is formed by:- Left atrial appendage,- Left ventricle,- Aortic arch and- Pulmonary artery